Chalones are of cell division
1. Regulators
2. Promoters
3. Inhibitors
4. Initiators

Correct answer: 3. Inhibitors

Explanation: Chalones are endogenous cell division inhibitorThey inhibit the division by acting on a number of events in cells cycleDue to inhibitory propey on cell division, it has a therapeutic action in cases like cancer.